Which of the following should be avoided initially in hemorrhagic shock:
1. Ringer lactate
2. Dextrose 5%
3. Normal saline
4. None of the above

Correct answer: 2. Dextrose 5%

Explanation: Ans. B: Dextrose 5% Hypotonic solutions (e.g. dextrose) are poor volume expanders and should not be used in the treatment of shock unless the deficit is free water loss (e.g. diabetes insipidus) or patients are sodium overloaded (e.g. cirrhosis) Glucose containing solutions should not be used in shock (they exacerbate ischaemic brain damage)